An anganwadi worker is trained for -
1. 3 months
2. 4 months
3. 5 months
4. 6 months

Correct answer: 2. 4 months

Explanation: -under ICDS Scheme, there is an anganwadi worker for a population of 400-800. - anganwadi worker is selected from the community itself - undergoes a training in various aspects of health, nutrition and child development for 4 months. Reference : Park's textbook of preventive and social medicine, 23rd edition, pg no:903